What tissue from the implanting embryo directly interfaces with the endometrial connective tissue?
1. Inner cell mass
2. Extra embryonic mesoderm
3. Epiblast
4. Syncytiotrophoblast

Correct answer: 4. Syncytiotrophoblast